Pellegra can cause all of the following except
1. Depression
2. Skin lesions
3. Spastic paretic syndrome
4. Acute heamon-hagic disseminated encephalomyelitis

Correct answer: 4. Acute heamon-hagic disseminated encephalomyelitis